False about neurogenic shock
1. Hypotension
2. Bradycardia
3. Raised JVP
4. Decreased cardiac output

Correct answer: 3. Raised JVP

Explanation: JVP is decreased
In neurogenic shock HR, BP, CO, PVR all are decreased